Moderate Hypothermia in a neonate is defined as an axillary temperature
1. < 34 degree C
2. 31-34 degree C
3. < 32 degree C
4. 32-35.9 degree C

Correct answer: 4. 32-35.9 degree C

Explanation: Classification of Neonatal hypothermia: Cold stress: 36.0 - 36.4oC Moderate hypothermia: 32 - 35.9oC Severe hypothermia: < 32oC.